In which one of the following infection dendritic ulcer is seen?
1. Herpes simplex
2. Measles
3. Pseudomonas
4. Gonococcal infection

Correct answer: 1. Herpes simplex

Explanation: A dendritic corneal ulcer is the hallmark sign of HSV infection, accompanied by stromal keratitis in more severe infection. These ulcers may begin as nondescript punctate keratopathies but quickly coalesce to form the familiar branching patterns. Because the virus invades and compromises the epithelial cells surrounding the ulcer, the leading edges (the so-called "terminal end-bulbs") will stain with rose bengal or lissamine green. Acyclovir 3% ointment is used as treatment.